All are derivatives of external oblique aponeurosis except
1. Inguinal ligament
2. Lacunar ligament
3. Linea semilunaris
4. Pectineal ligament

Correct answer: 3. Linea semilunaris

Explanation: Linea semilunaris is derivative of internal oblique aponeurosis.